The oxygen--hemoglobin dissociation curve is sigmoid because
1. Binding of one oxygen molecule increases the affinity of binding other 02 molecule
2. Binding of one oxygen molecule decrease the affinity of binding other 02 molecules
3. Oxygen affinity of Hemoglobin decreases when the pH of blood falls
4. Binding of oxygen to Hemoglobin reduces the affinity of Hb for CO2

Correct answer: 1. Binding of one oxygen molecule increases the affinity of binding other 02 molecule

Explanation: Binding of one oxygen molecule increases the affinity of binding other 02 molecules